Black Piedra is caused by:
1. Pityrosporum orbiculare
2. Exophiala
3. Trichosporon beigelii
4. Piedraia hortae

Correct answer: 4. Piedraia hortae

Explanation: Black piedra Caused by Piedraia hortae Gross-Discrete black, gritty, hard nodules on the hair of the scalp Dx- 10% KOH mount of the crushed nodule reveals dark septate hyphae with club shaped asci, each containing 2-8 ascospores